The commonest type of Pemphigus is
1. Pemphigus vulgaris
2. Pemphigus foliaceous
3. Pemphigus erythematous
4. Pemphigus vegetans

Correct answer: 1. Pemphigus vulgaris

Explanation: Pemphigus vulgaris is the most common form of pemphigus and occurs when antibodies attack Desmoglein 3. Usually begins with painful blisters in your mouth and then on the skin or genital mucous membranes. Ref Harrison20th edition pg 1334